Irradiation can be used to sterilize A/E -
1. Bone graft
2. Suture
3. Artificial tissue graft
4. Bronchoscope

Correct answer: 4. Bronchoscope

Explanation: Ans. is 'd' i.e., BronchoscopeEndoscopes are sterilized by chemical methods Methods for sterilization of endoscopes Rigid endoscope - Autoclave Flexible - Glutaraldehyde Peracetic acidNowadays musculoskeletal tissue allografts are being increasingly used for knee reconstructive procedures.The soft tissue allografts commonly being used are bone-patellar tendon-bone, Achilles tendon, fascia lata, anterior and posterior tibial tendon.Infections with allografts is a serious concern.Therefore these allografts need proper sterilization and disinfection.The proper sterilization procedure for these allografts is Gamma/Electron beam irradiation.